The principal site of acidification of urine is:
1. Distal convoluted tubule
2. Proximal convoluted tubule
3. Loop of Henle
4. Collecting duct

Correct answer: 4. Collecting duct

Explanation: Acidification occurs in collecting duct and DCT, but collecting duct is more important. Hence, answer is D>A.